Most common part of spine affected by Rheumatoid arthritis is?
1. Lumbar spine
2. Thoracic spine
3. Cervical spine
4. Sacrum

Correct answer: 3. Cervical spine

Explanation: Ans. (c) Cervical spineRef.'.MR Imaging of the Spine and Spinal Cord by DetlevUhlenbrock p-375, Orthopedic surgery essentials- Spine by Christopher M. Bono, Steven R. Garfin p-188